The cycle of malaria parasite is in sequence of ? 1) Exoerythrocytic stage 2) Gametocytic stage 3) Erythrocytic stage 4) Sporogony
1. 1,2,3,4
2. 1,3,2,4
3. 1,4,2,3
4. 4, 3, 2

Correct answer: 2. 1,3,2,4

Explanation: Ans. is 'b' i.e., 1, 3, 2, 4